Endemic ascites is caused by –
1. Argemone mexicana seed
2. Khesari dal
3. Jhunjhunia seeds
4. Ergot poisoning

Correct answer: 3. Jhunjhunia seeds